Amyotrophic lateral sclerosis involve-
1. Anterior horn cell
2. Posterior horn cell
3. Ventral root ganglia
4. Myoneural junction

Correct answer: 1. Anterior horn cell